Capnography basically monitors-
1. Central venous pressure
2. Blood pressure during anesthesia
3. Concentration of exhaled CO2
4. Concentration of inhaled O2

Correct answer: 3. Concentration of exhaled CO2

Explanation: Capnography monitores end tidal CO2 levels ( CO2 in Exhaled gas ) It is based on the principle of absorption spectrophotometry . Normal levels of EtCO2 is 35-45mmg